The most common side effect of neuraxial opioid is:
1. Nausea & vomiting
2. Pruritus
3. Urinary retention
4. Sedation

Correct answer: 2. Pruritus

Explanation: Pruritus is the most common side effect with neuraxial opioids. It may be generalized but is more likely to be localized to the face, neck or upper thorax. Treatment 1. naloxone 2. antihistaminic. 3. propofol